Most common location of the chronic gastric ulcer is:-
1. Greater curvature
2. Lesser curvature near proximal stomach
3. Lesser curvature near incisura
4. Pylorus

Correct answer: 3. Lesser curvature near incisura

Explanation: Gastric ulcer: - Most common location of chronic gastric ulcer is lesser curvature of stomach near incisura - Abnormal mucosal sensitivity to acid results in gastric ulcer which may be d/t H.pylori/ NSAIDS/ Smoking etc. - Epigastric pain increases with intake of food - decreases food intake - resulting in weight loss. Commonest location for the peptic ulcer disease - 1st part of duodenum Source of bleeding in duodenal ulcer - Gastroduodenal artery Source of bleeding in gastric ulcer - Left gastric artery